Puerperium is the period :
1. 6 weeks following delivery
2. 3 weeks following delivery
3. One week following delivery
4. None of the above

Correct answer: 1. 6 weeks following delivery

Explanation: 6 weeks following delivery